S.A. node acts as a pacemaker of the heart because of the fact that it:
1. Is capable of generating impulses spontaneously
2. Has rich sympathetic innervations.
3. Has poor cholinergic innervations
4. Generates impulses at the highest rate.

Correct answer: 4. Generates impulses at the highest rate.

Explanation: D i.e. Generates impulses at the highest rate